Limulus amoebocyte lysate test is used to detect ?
1. Endotoxin
2. Verocytotoxin
3. Pyroexotoxin-A
4. Alpha-toxin of Cl. perfringens

Correct answer: 1. Endotoxin

Explanation: Ans. is 'a' i.e., Endotoxin Limulus amoebocyte lysate (LAL), an aqueous extract of amoebocytes from the horseshoe crab, Limulus polyphemus, reacts with endotoxin to form a gel or a clot.Under standardized conditions, this reaction detects picogram quantities of endotoxin.The clotting reaction is triggered when the LAL reagent comes in contact with the lipopolysaccharide (endotoxin) fraction of the cell wall of gram-negative bacteria.The endotoxin activates an enzyme in the LAL reagent which then reacts with a low-molecular-weight clottable protein to form a gel.